An etiological factor for macrolossia is:
1. Atrophic glossitis
2. Oral submucous fibrosis
3. Syphilitic glossitis
4. Hurler's syndrome

Correct answer: 4. Hurler's syndrome